Which one of the following is a pan T lymphocyte marker -
1. CD2
2. CD3
3. CD19
4. CD25

Correct answer: 2. CD3

Explanation: The most clearcut differentiation between T and B cells is by their surface markers, for example, by demonstration of CD3 on T cells and Ig on B cells.